The plasma half life of aspirin:
1. Is independent of dose
2. Is longer for anti-inflammatory doses compared to that for analgesic dose
3. Is shorter for anti-inflammatory doses compared to that for analgesic dose
4. Can be increased by alkalinizing the urine

Correct answer: 2. Is longer for anti-inflammatory doses compared to that for analgesic dose

Explanation: Aspirin and other salicylates show saturation kinetics (zero order) and thus, their half life is not constant. Clearance at high doses (anti-inflamatory) is lesser than at low (analgesic) doses. Thus t1/2 is more for anti-inflammatory dose than for analgesic dose.